A 35 year old woman is scheduled to undergo elective surgery for removal of a large ovarian tumor. Comorbidities include type 2 diabetes treated with metformin. She is anemic due to menorrhagia. She is a non-smoker, occasional social drinker and has BMI of 40. This patient would be placed under ASA grade
1. ASA 1
2. ASA 2
3. ASA 3
4. ASA 4

Correct answer: 3. ASA 3

Explanation: She is diabetic on treatment and anemic, social alcohol drinker and has BMI of40.
So she has co-morbidities which is causing moderate limitation in activity but not incapacitating, so ASA grade 3.